True about cholesteatoma is?
1. It is a benign type
2. Metastasizes to lymphnode
3. Contains cholesterol
4. Erodes the bone

Correct answer: 4. Erodes the bone

Explanation: Essentially, cholesteatoma consists of two parts: (i) the matrix, which is made up of keratinizing squamous epithelium resting on a thin stroma of fibrous tissues and (ii) a central white mass, consisting of keratin debris produced by the matrix Cholesteatoma invades the surrounding structures from the middle ear first by following the path of least resistance and then by enzymatic bone destruction. Cholesteatoma has the property to destroy the bone. Cholesteatoma is associated with the atticoantral type (also called unsafe or dangerous type) In tubotympanic type (safe or benign type), there is no risk of serious complications. Ref: Textbook of diseases of ENT, PL Dhingra, 7th edition, pg no. 73, 74